All are true about hepatitis virus EXCEPT
1. HAV leads to most of fulminant hepatitis
2. HCV leads to chronic liver disease
3. HAV is transmitted feco orally
4. HBV can cause hepatocellular carcinoma

Correct answer: 1. HAV leads to most of fulminant hepatitis

Explanation: Hepatitis A virus (HAV), causing a faecally-spread selflimiting disease. Hepatitis B virus (HBV), causing a parenterally transmitted disease that may become chronic. Hepatitis C virus (HCV), previously termed non-A, non-B (NANB) hepatitis virus involved chiefly in transfusion related hepatitis. Hepatitis delta virus (HDV) which is sometimes associated as superinfection with hepatitis B infection. Hepatitis E virus (HEV), causing water-borne infection. Hepatitis G virus (HGV), is a recently discovered transfusion-transmitted hepatotropic virus but is not known to cause hepatitis. TEXTBOOK OF PATHOLOGY 6TH EDITION HARSH MOHAN PAGE NO:605